Which among the following is not involved in PQLI?
1. Infant mortality rate
2. Life expectancy
3. Per capita income
4. Literacy

Correct answer: 3. Per capita income

Explanation: Ans: c (Per capita income) Ref: Park, 19th ed, p. 16Physical quality of life index (PQL1) include:1. Infant mortality rate2. Life expectancy at age one3. Literacy rateScale of PQLI varies from 0 to 100.Human Development Index (HDI)It includes:1. Life expectancy at birth (Longevity)2. Knowledge (Adult literacy rate and mean years of schooling)3. IncomeThe HDI values ranges between 0 and 1.Gender related developmental index (GDI) and gender empowerment measure are new indices.HDI measures average achievements in basic dimensions of human development.Human poverty index (HPI) measures deprivation in basic dimensions of human development.Sullivan index:It is the expectation of life free from disability. Calculated by subtracting from life expectancy the probable duration of bed disability and inability to perform major activities.HALE (Health Adjusted Life Expectancy)It is the equivalent number of years in full health that a newborn can expect to live based on current rates of ill health and mortality.DALY (Disability Adjusted Life Year)DALY expresses years of life lost to premature death and year lived with disability adjusted for the severity of the disability.One DALY is "one lost year of healthy life".